A Clinical sign of mania is?
1. Neologism
2. Perservation
3. Echolalia
4. Flights of ideas

Correct answer: 4. Flights of ideas

Explanation: Ans. D. Flights of ideas. (Ref: Kaplan & Sadock's Synopsis of Psychiatry, Xth/Ch.15.1, Page no, 535, Table 15.1-6)A Clinical sign of mania is Flights of ideas.Discussion:Cardinal features of Mania '.Mnemonic: DIG FAST# Distractibilty# Indiscretion (DSM-IV's excessive involvement in pleasurable activities)# Grandiosity# Flight of ideas# Activity increases# Sleep need decreased (sleep deficit)# Talkativeness (Pressured sleep)Catatonic schizophrenia is characterized by marked psychomotor disturbances including prolonged immobility, posturing, extreme negativism (the patient actively resists any attempts made to change his or her position) or waxy flexibility (the patient maintains the position in which he or she is placed), mutism, echolalia (repetition of words said by another person), and echopraxia (repetition of movements made by another person). Periods of immobility and mutism can alternate with periods of extreme agitation (catatonic excitement).Neologismis a fabricated word made up by the patient, which is usually a combination of existing words.Perseverationoften associated with cognitive disorders, refers to a response that persists even after a new stimulus has been introduced--for example, a patient asked to repeat the phrase "no ifs, ands, or buts" responds by saying, "no ifs, ifs, ifs, ifs."Flight of ideasis a disorder of thinking in which the patient expresses thoughts very rapidly, with constant shifting from one idea to another, though the ideas are often connected.Echolaliarefers to the repetition of the examiner's words or phrases by the patient.Additional Educational points:# Disturbances of thought continuity include circumstantiality, tangentiality, clang association, loose associations, derailment, and echolalia.# Circumstantiality: indicates the loss of a goal-directed thought process: the patient brings in many irrelevant details and comments, but eventually will get back to the point.